WHO notifiable disease are all of the following except:
1. Cholera
2. Plague
3. Tetanus
4. Yellow fever

Correct answer: 3. Tetanus

Explanation: Ans. C: Tetanus A notifiable disease is any disease that is required by law to be reported to government authorities. The collation of information allows the authorities to monitor the disease, and provides early warning of possible outbreaks. Many governments have enacted regulations for reporting of both human and animal (generally livestock) diseases. This usually happens during pandemics. The World Health Organization's International Health Regulations 1969 require disease reporting to the organization in order to help with its global surveillance and advisory role. The current (1969) regulations are rather limited with a focus on reporting of three main diseases: Cholera Plague Yellow fever Louse-borne typhus, relapsing fever, influenza, poliomyelitis, malaria, rabies and salmonellosis are subject to international surveillance.